Which of the following is radiolucent stone
1. Calcium oxalate
2. Struvite
3. Cystine
4. Uric acid stones

Correct answer: 4. Uric acid stones

Explanation: Uric acid stones are radiolucent. These are seen in during increased uric acid production such as tumor lysis
syndrome.